All of the following are derivatives of the septum transversum except
1. Falciform ligament
2. Coronary ligament
3. Mesentery of the lesser sac
4. Ligamentum teres

Correct answer: 4. Ligamentum teres

Explanation: Ligamentum teres represents the obliterated left umbilical vein and is not a derivative of septum transversum. Ref:Human Anatomy,BD Chaursia, pg335